Precocious puberty in girl age limit -
1. 8 year
2. 10 year
3. 9 year
4. 11 year

Correct answer: 1. 8 year

Explanation: Ans. is 'a' i.e., 8 year o precocious puberty is defined as appearence of secondary' sexual character before 8 year of age in girl and 9.5 year of age (Nelson says 9 year) in bodys.o Thelarche = Isolated breast development.o Premature, Pubarche/Adrenarche - Appearance of sexual hair before age of 8 year in girl and before 9 year is boys without other evidence maturation.o Premature menarche - Isolated uaginal bleeding in the absence of other secondary sexual charater.